Quickening is felt at:
1. 8-12 wk
2. 16-20 wk
3. 20-24 wk
4. 24-28 wk

Correct answer: 2. 16-20 wk

Explanation: Ans: B (16-20 wk) Quickening (feeling of life) denotes the perception of active fetal movements by the women. It is usually felt about the 18 th week). 2 weeks ear Her in multiparae. Its appearance is an useful guide to calculate the expected date of delivery with reasonable accuracy"- Dutta's Obstetrics 6th/ 68"Quickening is felt b/w 16th to 20th week"-Reddy 27th/343Changes During Pregnancy : short Review# External ballottement is usually elicited as early as 20th week when the fetus is relatively smaller than the volume of the amniotic fluid# Internal ballottement can be elicited between 16-28th week the fetus is too small before 16th week and too large to displace after 28th week. However, the test may not be elicited in cases with scanty' liquor amnii, or when the fetus is transversely placed.# Goodell's sign :Cervix becomes soft as early as 6th week# Osiandersign: There is increased pulsation, felt through the lateral fornices at 8th week# Hegar sign : present b/w 6-10 wk?# Palmarsign: Regular & rhythmic uterine contraction can be elicited during bimanual examination as early as 4-8 wk;# Positive or absolute signs : (1) Palpation of feta1 parts and perception of active fetal movements by the examiner at about 20th week. (2) Auscultation of fetal heart sounds (3) Ultrasound evidence of embryo as early as 6th week and later on the fetus. (4) Radiological demonstration of the fetal skeleton at 16th week and onwards.# Persumptive symptoms and signs: It includes the features mainly appreciated by the women. (1) Amenorrhoea (2) Frequency of micturition (3) Fatigue (5) Breast changes (6) Skin changes (7) Quickening# Probable signs : (1) Abdominal enlargement (2) Braxton- Hicks contractions (3) External ballottement (4) Outlining the fetus (5) Changes in the size, shape and consistency of the uterus (6) Jacquemier's sign (7) Softening of the cervix (8) Internal ballottement (10) Immunological test.